The prophylaxis of pin prick injury in HIV EXCEPT
1. Zidovudine for 4 weeks
2. If there is scalpel cut wound along with Zidovudine with Stauvudine and Lamivudine
3. Regular blood testing
4. Acyclovir for 12 months

Correct answer: 4. Acyclovir for 12 months

Explanation: (D) Acyclovir for 12 months # Prevention of HIV transmission in health care settings:> In health care settings, universal body fluid precautions should be used, including use of gloves when handling body fluids and the addition of gown, mask, and goggles for procedures that may result in splash or droplet spread, and use of specially designed needles with sheath devices to decrease the risk of needle sticks.> Because transmission of tuberculosis may occur in health care settings, all patients with cough should be encouraged to wear masks.> Hospitalized HIV- infected patients with cough should be placed in respiratory isolation until tuberculosis can be excluded by chest radiograph and sputum smear examination.> Epidemiologic studies show that needle sticks occur commonly among health care professionals, especially among surgeons performing invasive procedures, inexperienced hospital house staff, and medical students.> Efforts to reduce needle sticks should focus on avoiding recapping needles and use of safety needles whenever doing invasive procedures under controlled circumstances.# Risk of HIV transmission from a needle stick with blood from an HIV-infected patient is about 1:300. The risk is higher with deep punctures, large inoculum, and source patients with high viral loads.> Risk from mucous membrane contact is too low to quantitate.> Health care professionals who sustain needle sticks should be counseled and offered HIV testing as soon as possible.> HIV testing is done to establish a negative baseline for worker's compensation claims in case there is a subsequent conversion.> Follow-up testing is usually performed at 6 weeks, 3 months, and 6 months.> Preferred regimen is Tenofovlr 300 mg with Emtricitabine 200 mg daily with Raltegravir 400 mg twice a day.> Providers who have exposures to persons who are likely to have Antiretro-viral medication resistance (eg, persons receiving therapy who have detectable viral loads) should have their therapy individualized, using at least two medications to which the source is unlikely to be resistant.> Because reports have noted hepatotoxicity due to Nevirapine in this setting, this agent should be avoided.> There have been documented cases of seroconversion following potential parenteral exposure to HIV despite prompt use of Zidovudine prophylaxis.> Counseling of the provider should include "safer sex" guidelines.